Shy, self oriented and relationship problems are seen in which personality disorder:
1. Schizoid personality disorder
2. Paranoid personality disorder
3. Borderline personality disorder
4. Antisocial personality disorder

Correct answer: 1. Schizoid personality disorder

Explanation: Persons with Schizoid personality disorder will be shy, isolated and uncomfortable with human interactions & hence relationship problems.